Drug causing gynecomastia is:
1. Spironolactone
2. Rifampicin
3. Penicillin
4. Bumetanide

Correct answer: 1. Spironolactone

Explanation: Ans. (A) Spironolactone(Ref: KDT 8/e p635)Important drugs causing gynaecomastia are:D - DigitalisI - IsoniazidS - SpironolactoneC - Cimetidine (and Ketoconazole)O - Oestrogens (and anti-testosterones)